Watershed area between SMA & IMA which commonly result in ischemia is
1. Hepatic flexure
2. Splenic flexure
3. Rectosigmoid Junction
4. Ileocolic Junction

Correct answer: 2. Splenic flexure

Explanation: During times of blockage of one of the arteries that supply the watershed area, such as in atherosclerosis, these regions are spared from ischemia by virtue of their dual supply. However, during times of systemic hypoperfusion, such as in disseminated intravesicular coagulation or heart failure, these regions are particularly vulnerable to ischemia by virtue of the fact that they are supplied by the most distal branches of their arteries, and thus the least likely to receive sufficient blood. Watershed areas are found in the brain, where areas are perfused by both the anterior and middle cerebral arteries, and in the intestines, where areas are perfused by both the superior and inferior mesenteric arteries